Fenestration in the forceps blade mainly helps in which of the following function?
1. Allows blades to grip fetal head firmly
2. Protects fetal ears
3. Offers smaller metal surface area aganist fetal skull
4. Decreases force of traction on maternal vaginal wall

Correct answer: 1. Allows blades to grip fetal head firmly

Explanation: Forceps consist basically of two crossing branches. Each branch has four components: blade, shank, lock and handle.Each blade has two curves: the outward cephalic curve conforms to the roundfetal head, and the upward pelvic curve corresponds more or less to the axis ofthe birth canal.Some varieties have an opening within or a depressionalong the blade surface and are termed fenestrated or pseudofenestrated,respectively. These blade modifications permit a firmer grasp of the fetalhead, but at the expense of increased blade thickness, which may increasevaginal trauma.In general, fenestrated blades are used to deliver a fetus with a molded headwhich is common in nulliparous women.The forceps with thin smooth blades are used for a fetus with arounded head, which is more characteristic in multiparas.(Ref: William's Obstetrics; 25th edition)